Not true regarding Voyeurism:
1. S. 354C, IPC define punishment
2. For first offence imprisonment of 1-3 year with fine
3. For repeat offence imprisonment may extend to 5-10 year
4. Cognizable offence

Correct answer: 3. For repeat offence imprisonment may extend to 5-10 year

Explanation: Ans: c. For repeat...Voyeurism or ScoptophiliaIt is defined as one who, experiences recurrent, intense, sexually arousing fantasies, sexual urges or behaviours involving the act of observing an unsuspecting person who is naked, in the process of disrobing or engaged in sexual activityVoyeurism or Scotophilia is defined as the desire to watch sexual intercourse or to observe genitals of others. QMost often the victim is strangerMasturbation at the scene or later to memories of watching the unsuspecting stranger is normally the source of sexual pleasureIt is rare in female